Thin filament consists of all except:
1. Actin
2. Troponin
3. Myosin
4. Tropomyosin

Correct answer: 3. Myosin

Explanation: Myosin is thick filament. All others  in the options are thin filaments.